All the following are examples of diseases causing Aplastic anemia except -
1. PNH
2. Hepatitis
3. Pregnancy
4. Cold hemoglobinuria

Correct answer: 4. Cold hemoglobinuria